The strength of the gypsum specimen when the water in excess of that required for the hydrate of the hemihydrate is left in the specimen is called?
1. Dry strength
2. Green strength
3. Water strength
4. Compressive strength

Correct answer: 2. Green strength